Respiratory symptoms are associated with -a) Rocky mountain spotted feverb) Strongyloidesc) T. Soliumd) Onchocerca
1. ac
2. a
3. ad
4. ab

Correct answer: 4. ab